Ductus deference is derived from
1. Mesonephric duct
2. Mullerian duct
3. Paramesonephric
4. Vitelline duct

Correct answer: 1. Mesonephric duct

Explanation: Inderbir Singh's Human embryology Tenth edition The mesonephric ducts give rise to: Trigone of urinary bladder Posterior wall of prostatic urethra Ductus deferens Seminal vesicles Epididymis Ejaculatory ducts